Regarding hepatitis E, it is true that -
1. Occurs with Hepatitis B
2. Is single stranded DNA virus
3. Occurs along with HIV
4. Increases mortality in pregnancy

Correct answer: 4. Increases mortality in pregnancy

Explanation: Clinical severity and high case fatality rate of 20-40 %in pregnant women (in last trimester) REF:ANANTHANARYANAN TTEXTBOOKOF MICROBIOLOGY 9EDITION PGNO.550